Streptococci are potent producer of:
1. Hyaluronidase
2. Fibrinolysin
3. Both of the above
4. None

Correct answer: 3. Both of the above

Explanation: Streptococcus are potent producers of hyaluronidase and fibrinolysin that dissolve the hyaluronic acid and fibrin respectively and causes the spread of infection into tissue spaces resulting in cellulitis.
Ref: Shafer's textbook of oral pathology 7th edition page 504